The instrument that has four unit formula
1. Gingival margin trimmer
2. Enamel hatchet
3. Hoe
4. Chisel

Correct answer: 1. Gingival margin trimmer